Which of these anterior pituitary hormones is under tonic inhibitory control of hypothalamus instead of hypothalamic releasing factors?
1. LH
2. FSH
3. TSH
4. PRL

Correct answer: 4. PRL

Explanation: Prolactin secretion is under tonic inhibitory control by the hypothalamic secretion of dopamine ( Prolactin Inhibitory Factor) All other hormones of anterior pituitary - FSH, LH, TSH, ACTH, GH are stimulated by releasing factors secreted in hypothalamus.